The first and the most important measure in the
management of severely injured patient is to:
1. To maintain airway
2. Start I.V. fluids
3. Arrest bleeding
4. Splinting fractures

Correct answer: 1. To maintain airway